Which is not used in acne:
1. Erythromycin
2. Ampicillin
3. Clindamycin
4. Doxycycline

Correct answer: 2. Ampicillin

Explanation: bRef: KDT, 5th ed, p. 800, 801 & 4th ed, p. 858s